External anal sphincter is innervated by?
1. S2,S3,S4
2. S2, S3
3. S1,S2
4. L5,Sl

Correct answer: 1. S2,S3,S4

Explanation: Ans. is'a' i.e.,S2, S3, S4Anal Sphincters :Two sphincters, internal and external, surround the anal canal:A. Internal sphincter (sphincter ani internus):InvoluntarySympathetic fibers through superior hypogastric plexus aParasympathetic fibers from pelvic splanchnic nerves (S2 S3 S4). B. External sphincter (sphincter ani externus)VoluntarySurrounds the entire length of anal canalInferior rectal nerve (S2 S3 S4) and perineal branch